P2 is best appreciated in -
1. 2 nd left intercostal space
2. 2 nd right intercostal space
3. 4 th ICS
4. 3th ICS

Correct answer: 1. 2 nd left intercostal space

Explanation: p2 is the pulmonary component of s2.it is best appreciated in the 2nd left intercoastel space Ref : Harrison 20th edition , pg 1534